Absolute contraindication for IUCD is/ are-
1. Puerperal sepsis
2. Current STD
3. Uterine anamoly
4. All the above

Correct answer: 4. All the above

Explanation: Ans. is 'd' i.e., All the above Who category 4 : absolute contraindications for use of IUP:o Immediate postseptic abortiono Uterine anomalyo Pregnancyo Pelvic tuberculosiso Vaginal bleeding supicious/unexplanedo Current pelvic infalmmatoiyr disease (PID)/ Current STDso Puerperal sepsiso Malignant trophoblast diseaseo Cervical cancero Current STSso Endometrial cancero Uterine fibrosis with distortion of uterine cavity